Blunt injury abdomen, patient was hemodynamically stable, next investigation:
1. X-ray abdomen
2. Barium swallow
3. FAST
4. DPL

Correct answer: 3. FAST